The study of the electrical activity of the muscle is:
1. EEG
2. EMG
3. Venn diagram
4. ECG

Correct answer: 2. EMG